Schnieder's first rank symptoms include all except?
1. Delusion perception
2. Thought insertion
3. Third person auditory hallucinations
4. Perplexing

Correct answer: 4. Perplexing

Explanation: Ans. is 'd' i.e., Perplexingwww.epi.choPerplexing is a 2nd rank symptom. All other mentioned options are first rank symptoms (see the explanation below)Kurl Schneider first rank symptoms of schizophreniaoKurt schneider attempted to make the diagnosis of schizophrenia more reliable. He listed a series symptoms which were characteristic of schizophrenia and are popularly referred as Schneider's first rank symptoms of schizophrenia which include: -A) Hallucinations: Audible thoughts or thought echo (Echo de la penses), Third-person auditory hallucinations (voices heard arguing), voices commenting on one's action or running commentary.B) Thought insertion, thought withdrawal, thought broadcasting.C) Passivity phenomena: Made feeding (affect), made impulses, made volition (acts), somatic passivity.D) Delusional perception (Primary delusions).oSchneider also described second-rank symptoms of schizophrenia Other form of hallucination (other than, which are seen in 1st rank symptoms); sudden delusional ideas, perplexing, affect disturbances (depressive or euphoric mood change), feeling of emotional impoverishment.